All are developed from muscles of 1 arch except
1. Tensor tympani and tensor veli palatini
2. Posterior belly of digastric
3. Masticatory muscles
4. Mylohyoid

Correct answer: 2. Posterior belly of digastric